. Which of the following is the vector for Zika virus
1. Aedes aegypti
2. . Culex tritaeniorhynchus
3. Phlebotomus papatasii
4. Anopheles

Correct answer: 1. Aedes aegypti

Explanation: aedes aegypti is the vector for Zika virus